The gold standard investigation for renal artery stenosis in an 21 year old girl :
1. Renal scan
2. Ultrasound Doppler
3. Renal angiography
4. 3D Contrast-enhanced MRA

Correct answer: 3. Renal angiography

Explanation: Angiography is the gold standard and definitive means to diagnose RAS, except for the risk of contrast reaction. In screening for stenosis of the main renal arteries and differentiation from fibromuscular dysplasia, the use of 3D contrast enhanced MRA provides optimum method for its detection and allows the demonstration of small accessory renal arteries and segmental branches Doppler evaluation has limited application as screening modality. The clinical signs of renal artery stenosis include Renovascular hypertension and azotaemia.